Mycobacterium tuberculosis was discoverd by ?
1. Louis pasteur
2. Robert koch
3. Lister
4. Jener

Correct answer: 2. Robert koch

Explanation: Ans. is 'b' i.e., Robert koch Scientist Associated with Fracastorius Proposed a contagium vivuin (cause of infectious disease) Von Plenciz Suggested that each disease is caused by a separate agent Augustino Bassi Earliest discovery of pathogenic microorganism Davaine and Pollender Observed anthrax bacilli in blood of animal Louis Pasteur Father of microbiology (Also see above explanation) Robert Koch Father of medical microbiology Discovered M. tuberculosis and V cholerae Introduced staining techniques methods of obtaining bacteria in pure culture on solid media Suggested Koch's postulate Joseph Lister Father of Aseptic surgery Proved that sepsis could be prevented by Hand hygiene Antony Van Leeuwen hoek Invented microscope (Father of compound microscope) Father of Bacteriology Edward Jenner Father of Immunology Peyton Rous Isolated virus causing sarcoma in fowl Von Behring & Kitasato Described antibody